Best mode to control leprosy eradication programme is -
1. Mass chemotherapy
2. Early diagnosis and treatment
3. High risk chemotherapy
4. Health education

Correct answer: 2. Early diagnosis and treatment

Explanation: Early diagnosis and treatment. Reference:Park's textbook of preventive and social medicine,K.Park,23rd edition,page no:321.